Nitrogen fixation is done by which plant -
1. Legumes
2. Nuts
3. Cereales
4. Vegetables

Correct answer: 1. Legumes

Explanation: Ans. is 'a' i.e., Legumes"Probably the most important form of agricultural nitrogen fixation is carried out by rhizobium-legume symbiosis in the root nodule of legumes".o Legumes are an important plant functional group since they can form a tripartite symbiosis with nitrogen fixing 'Rhizobium9 bacteria and phosphorus - acquiring arbuscular mycorrhizalfungi (AMF).